Bone algorithm is used as a principle in which of the following modality?
1. Spiral CT
2. Multidetector CT
3. Dual source CT
4. HRCT

Correct answer: 4. HRCT

Explanation: High resolution CT: It is a scanning protocol in which thin sections (usually 0.625 to 1.25 mm) are acquired and reconstructed using Bone Algorithm, which is a high spatial resolution reconstruction and improves image sharpness and clarity of pulmonary parenchyma.